Procerus muscle is continuation of which muscle?
1. Occipito-frontalis
2. Masseter
3. Medial pterygoid
4. Temporalis

Correct answer: 1. Occipito-frontalis

Explanation: Ans. is'a'i.e., OccipitofrontalisProcerus is often partially blended with, the medial side of frontal part of occipitofrontalis